Which of the following drugs inhibits de novo synthesis of purines?
1. Cyclosporine
2. Tacrolimus
3. Mycophenolate
4. Infliximab

Correct answer: 3. Mycophenolate

Explanation: By inhibiting the enzyme IMP (Inosine 5' Monophosphate) dehydrogenase, mycophenolate inhibits the de novo synthesis of purines.